Last organ to putrefy in females is:
1. Kidney
2. Uterus
3. Brain
4. Spleen

Correct answer: 2. Uterus

Explanation: Ans. Uterus